Which of the following nerve involved in-opening inlet of larynx
1. Recurrent laryngeal nerve
2. External laryngeal nerve
3. Internal laryngeal nerve
4. Superficial laryngeal nerve

Correct answer: 1. Recurrent laryngeal nerve

Explanation: (Recurrent laryngeal nerve) (243 - BDC3 - 4th edition)Intrinsic muscles of the Larynx - 1. Cricothyroid {only muscle outside the larynx) 2. Posterior cricoarytenoid {Triangular muscle) 3. Lateral cricoarytenoid. 4. Transverse arytenoid {unpairedmuscle) 5. Oblique arytenoid and aryepiglotticus. 6. Thyroarytenoid and ThyroepiglotticMuscles acting on the LarynxMovementMuscles1. Elevation of larynxThyrohyoid, Mylohyoid2. Depression of larynxSternothyroid, Sternohyoid3. Opening inlet of larynxThyroepiglotticus4. Closing inlet of larynxAryepiglotticus5. Abductor of the vocal cordsPosterior cricoarytenoid*6. Adductor of vocal cordsLateral cricoarytenoid , transverse, oblique arytenoid7. Tensor of vocal cordsCricothyroid8. Relaxor of vocal cordsThyroarytenoidAll intrinsic muscles of the larynx are supplied by the recurrent laryngeal nerve EXCEPTfor the cricothyroid which is supplied by the external laryngeal nerve **